Which one of the procedure involves using glaucoma drainage device
1. Viscocanalostomy
2. Trabeculectomy
3. Deep sclerectomy
4. Seton operation

Correct answer: 4. Seton operation

Explanation: Glaucoma Drainage Devices :- * Plastic devices which allow aqeous outflow by creating an alternative communication between the anterior chamber & the Sub Tenon's space. * SETON OPERATION: surgery using glaucoma valve * Implants:- Molteno implants , Krupin Denver and Ahmed valve Indications: - * Neovacular glaucoma * Glaucoma with aniridia * Intractable glaucomas where trabeculectomy with anti- metabolite therapy fails. Ref:- A K Khurana Comprehensive Ophthalmology 7th edition; pg num:- 263